Whoever malignantly does an act which is likely to spread infection of any disease dangerous to life is punishable under
1. Sec. 269 IPC
2. Sec. 270 IPC
3. Sec. 299 IPC
4. Sec. 370 IPC

Correct answer: 2. Sec. 270 IPC

Explanation: - Sec.270 IPC - Whoever malignantly does an act which is likely to spread infection of any disease dangerous to life is punishable up to 2 years or with fine or both - Sec.269 IPC - Whoever negligently does an act which is likely to spread infection of any disease dangerous to life is punishable up to 6 months or with fine or both - Sec. 299 IPC -Culpable (punishable) homicide - Sec. 370 IPC - Whoever commits the offence of trafficking shall be punished with rigorous imprisonment for a term which shall not be less than seven years, but which may extend to ten years, and shall also be liable to fine